Osteoclast are stimulated by
1. Thyroxine
2. PTH
3. Calcitonin
4. Estrogen

Correct answer: 2. PTH

Explanation: Refer Robbins page no 1207-1208 Parathyroid hormone related protein (PTHrP) is a local factor, expressed by perichondrial stromal cells and early proliferating chondrocytes, that activates the PTH receptor and maintains proliferation of chondrocytes.